A twitch of motor unit is called
1. Myoclonic jerk
2. Tremor
3. Fasciculation
4. Chorea

Correct answer: 3. Fasciculation

Explanation: Fasciculations are jerky, visible contractions of groups of muscle fibres as a result of pathological discharge of spinal motor neurons. (REF TEXTBOOK OF MEDICAL PHYSIOLOGY GEETHA N 2 EDITION, PAGE NO - 50)